Hypokalemia ECG changes all except
1. Tall T wave
2. Prolonged QRS interval
3. Depressed ST segment
4. Prominent U waves

Correct answer: 1. Tall T wave

Explanation: In hypokalemia T wave is inverted; Hypokalemia (plasma K+ +-3.5 meq/L)- ST segment depression.A prominent U wave is now present immediately following the TThe actual QT interval remains 0.4 s.If the U wave is erroneously considered a part of the T,a falsely prolonged QT interval of 0.6 s will be measured. Hypokalemia (plasma K+ +-2.5 meq/L)- The PR interval is lengthened to 0.32 s;the ST segment is depressed; T wave is inverted; a prominent U wave is seen.The true QT interval remains normal.Ref: Ganong's Review of Medical Physiology Twenty-Third Edition Page No:504